Guarnieri's body is seen in?
1. Chicken pox
2. Smallpox
3. Rubella
4. Measles

Correct answer: 2. Smallpox

Explanation: Tissue culture of Poxviruses- vaccinia and variola can be grown in monkey kidney, Hela and chick embryo cells. Cytopathic effects are shown by vaccinia in 24-48 hours and slowly by variola. The orthopoxviruses as a group cause a dramatic effect on host cell macromolecular function, leading to a switch from cellular to viral protein synthesis, changes in cell membrane permeability, and cytolysis. Eosinophilic inclusions, called Guarnieri bodies, can be seen in the cytoplasm. The inclusion bodies consist of aggregations of virus particles in a matrix. Do You Know: Brick shaped virion is - Variola. Its elementary bodies are known as paschen bodies. Molluscum contagiosum cannot be grown in eggs, tissues cultures / animals. Ref: Ray C.G., Ryan K.J. (2010). Chapter 11. Poxviruses. In C.G. Ray, K.J. Ryan (Eds), Sherris Medical Microbiology, 5e.